Severity of mitral stenosis is determined by :
1. Intensity of S1 heart sound
2. Diastolic murmur duration
3. Opening snap
4. Intensity of diastolic murmur

Correct answer: 2. Diastolic murmur duration

Explanation: Since there is mitral stenosis, more time for blood to enter LV. Therefore, increased transient time, so increase duration of murmur of S1 sound can be loud or soft. If sound is soft it tells us about calcified mitral valves but not of severity